A 27-year-old female came for treatment of infertility to OPD; bromocriptine was prescribed. What could be the possible reason?
1. Hyperprolactinemia
2. PCOD
3. Hypogonadotropic hypogonadism
4. PID

Correct answer: 1. Hyperprolactinemia

Explanation: ANS. A# Uses of bromocriptine1. Hyperprolactinemia2. Acromegaly3. Parkinsonism4. Hepatic coma